Paternal 15 chromosome deletion is seen in ?
1. Angelman syndrome
2. Prader Willi syndrome
3. Down syndrome
4. Turner syndrome

Correct answer: 2. Prader Willi syndrome

Explanation: Ans. is 'b' i.e., Prader Willi syndrome Paternal 15 deletion - Prader Willi syndrome. Maternal 15 deletion - Angelman syndrome. Prader Willi syndro-me Angleman syndrome Paternal deletion (Paternal genomic imprinting) Maternal uniparental disomy Maternal deletion (maternal genomic imprinting) Paternal uniparental disomy